In triage system for disaster management, which of the following color codes denote 'high priority treatment' and 'transfer':
1. Red
2. Blue
3. Black
4. Yellow

Correct answer: 1. Red

Explanation: Ans: A i.e. Red Triage It is a tool first responders and medical personnel use during a mass casualty incident. With the aide of the triage tags, the first-arriving personnel are able to effectively and efficiently distribute the limited resources and provide the necessary immediate care for the victims until more help arrives. Red one needs immediate attention.